MIC-2- Marker of -
1. Ewing sarcoma
2. Osteosarcoma
3. Dermatofibrous protruberans
4. Alveolar cell sarcoma

Correct answer: 1. Ewing sarcoma

Explanation: . Ewing sarcoma